Bronchospasm is not caused by
1. Regurgitation
2. Aspiration
3. Intubation
4. Halothane

Correct answer: 4. Halothane

Explanation: D i.e. Halothane